Permanent carrier for HBV is -
1. > 6 months
2. > 1 month
3. > 1 year
4. > 2 year

Correct answer: 1. > 6 months

Explanation: The persistent carrier state has been defined as the presence of HBsAg for more than 6 months. Reference:Park's textbook of preventive and social medicine,K.Park,23rd edition,page no:213.